Pneumopathy is a side effect of all EXCEPT:
1. Alpha methyldopa
2. Busulphan
3. Melphalan
4. Nitrofurantoin

Correct answer: 1. Alpha methyldopa

Explanation: Ans. is 'a' Alpha Methyldopa Alpha methyl dopa has no adverse effect on lung.Its adverse effects are :Hepatotoxicity*Coomb's positive hemolytic anaemia*Thrombocytopenia*Lupus syndrome (rarely) *Rest of the drugs given in the choice can cause pneumopathy. All of them produce pulmonary infiltrates in the lung